Which vaccine can not be used in adults?
1. Hep A
2. MMR
3. DPT
4. Pneumococcal

Correct answer: 3. DPT

Explanation: -Tdap vaccine (single dose) is recommended in adolescents / adults & not DTP - DTP cannot be given beyond 7yrs of age. -Tdap contains lesser amount of Diphtheria & Pertussis antigens, compared to DTP - Remaining all vaccines given in the question can be given to adults according to requirement. EXTRA EDGE: Vaccines recommended in adolescents: Tdap HPV Td Influenza TT JE Pneumococcal Rabies